Fox Fordyce`s disease is a disease of?
1. Eccrine glands
2. Apocrine glands
3. Sebaceous glands
4. Pilosebaceous glands

Correct answer: 2. Apocrine glands

Explanation: Fox-Fordyce disease is a disorder of the apocrine glands similar to prickly heat of the eccrine glands. The aetiology is unknown, the possible aetiology is obliteration of the apocrine duct at the infundibulum Common in post-pubertal women, but can be postmenopausal. C/F - Intense itching in the axillae, to a lesser extent in the anogenital region and around the breasts. O/E - Not conspicuous at first, but later skin-coloured/slightly pigmented, dome shaped, follicular papules develop followed by loss of axillary hair Fox Fordyce's disease- Apocrine glands Fordyce spots- Sebaceous glands